Diagnosis of Down syndrome at 11 weeks is best assessed by:
1. Ultrasonography
2. Aminocentesis
3. Chronic villous biopsy
4. Dopper Ultrasound

Correct answer: 3. Chronic villous biopsy

Explanation: Confirmatory test for Down's syndrome: 1. First trimester- Chorionic villous sampling(10-13th week) 2. Second trimester - Amniocentesis(16-18th week)